Commonest dislocation of elbow is ?
1. Anterior
2. Posterior
3. Both same
4. Medial

Correct answer: 2. Posterior

Explanation: Posterior dislocation is the commonest dislocation of elbow. It may be associated with fracture of medial epicondyle, fracture of head of the radius, or fracture of coronoid process of the ulna. Clinically there is severe pain at elbow.triceps tendon stands prominent. The three bony points relationships are reversed. Associated with median nerve palsy. Diagnosis by x-ray. Ref: Essential Orthopaedics, Maheswari & Mhaskar, Edition 9th Page no: 105